A patient at 8 weeks pregnancy is diagnosed to have dermoid cyst it should be removed at :
1. Immediately
2. At 14-16 weeks
3. Only when it undergoes torsion
4. At term along with LSCS

Correct answer: 2. At 14-16 weeks

Explanation: At 14-16 weeks